Tigered effect in myocardium is due to ?
1. Malignant change
2. Fat deposition
3. Seen in rheumatic fever
4. Associated with myocarditis

Correct answer: 2. Fat deposition

Explanation: Ans. is 'b' i.e., Fat deposition o Tigered effect is grossly apparent bands of yellowed myocardium (containing fat) alternating with bands of darker, red-brown, uninvolved heart.